Which of the following tumours is radiosensitive?
1. Ewing's sarcoma
2. Malignant melanoma
3. Hepatocellular carcinoma
4. Osteosarcoma

Correct answer: 1. Ewing's sarcoma

Explanation: Ans: a (Ewing's sarcoma)Ewing's sarcoma is a highly radiosensitive tumourRadio sensitive tumoursRadio resistant tumours# Seminoma# Osteosarcoma# Lymphoma# Melanoma# Myeloma# Pancreatic carcinoma# Ewings sarcoma# Hepatoma# Wilms tumour